Which of the following is not an adverse effect of chronic amiodarone therapy
1. Pulmonary fibrosis
2. Hypothyroidism
3. Hyperthyroidism
4. Systemic lupus erythematous

Correct answer: 4. Systemic lupus erythematous

Explanation: Refer kDT 6/e p 516 Amiodarone Lung Toxicity Thyroid toxicity in the setting ofamiodarone therapy can be either hyperthyroidism or hypothyroidism. ... Liver failure and cirrhosis can occur, and it is thought that cumulative dose/long-term therapy increases this risk. Bradycardia is a known effect of amiodarone.